Period of isolation in salmonella infection is till:
1. 72 hours after chemotherapy
2. Widal negative
3. 3 consecutive stool cultures are negative
4. Urine culture is negative twice

Correct answer: 3. 3 consecutive stool cultures are negative

Explanation: Ans. is 'c' 3 consecutive stool culture are negative The cases in typhoid infection are isolated till three bacteriologically negative stools and urine reports are obtained on three separate days.